All the following enzymes are involved in the metabolism of xenobiotics except
1. Hydroxylase
2. Cytochrome oxidase
3. Cytochrome P450
4. Methylase

Correct answer: 2. Cytochrome oxidase

Explanation: Oxidation, reduction, and hydroxylation are phase 1 reactionsCyp. 450 is the most common enzyme involved in the metabolism of various drugs in phase 1 and phase 2.Methylase - phase 2 reactionRef: Goodman Gillman 11th ed, pg 71